Arsenic compounds are used for the treatment of which of the following cancer?
1. APML
2. CLL
3. ALL
4. CML

Correct answer: 1. APML

Explanation: ARSENIC TRIOXIDE It is used for the treatment of Acute Promyelocytic Leukemia (APML). It may cause hyperglycemia and prolonged QT interval. Like tretinoin, it also acts as a differentiating agent.